Histone proteins are rich in which of the following amino acids?
1. Histidine and lysine
2. Lysine and Arginine
3. Arginine and Histidine
4. Histidine and Valine

Correct answer: 2. Lysine and Arginine

Explanation: Histone proteins: Rich in positively charged amino acids, lysine and arginine. Carboxyl terminal 2/3rd of histone molecules are hydrophobic, Amino terminal 1/3rd are particularly rich in basic amino acids. These amino terminal end protrude out of the octamer and is known as histone tail. Amino acids of histone tail undergo post-translational modifications.